Crystal of pseudogout is made up of ?
1. CPPD
2. Urate
3. Calcium carbonate
4. Xanthine

Correct answer: 1. CPPD

Explanation: Ans. is 'a' i.e., CPPD